The Extracellular fluid that has high potassium and low sodium is?
1. Synovial fluid
2. Endolymph
3. Ectolymph
4. CSF

Correct answer: 2. Endolymph

Explanation: (B) Endolymph > The inner ear (labyrinth) is made up of two parts, one within the other. The bony labyrinth is a series of channels in the petrous portion of the temporal bone. Inside these channels, surrounded by a fluid called perilymph, is the membranous labyrinth.> This membranous structure more or less duplicates the shape of the bony channels. It is filled with a K+-rich fluid called endolymph, and there is no communication between the spaces filled with endolymph and those filled with perilymph.